Which is the most stable suture layer in all sections of the gastrointestinal tract?
1. Mucosa
2. Submucosa
3. Muscularis
4. Serosa

Correct answer: 2. Submucosa

Explanation: Submucosa layer, because of its high collagen content and is the most stable suture layer in all sections of the gastrointestinal tract. Ref: Bailey and Love 27e pg: 98